Blood volume in preterm neonate is:
1. 90 mL/kg
2. 80 mL/kg
3. 70 mL/kg
4. 60 mL/kg

Correct answer: 1. 90 mL/kg

Explanation: a. 90 mL/kg(Ref: Maternal, Fetal, & Neonatal Physiology by Susan Tucker Blackburn, p 249)Blood volume is 80-100mL/kg for term neonates & 90-105mL/kg in preterm neonates (higher plasma volume)